A 38-year-old woman had a left iron intraocular foreign body removed one year ago. Her current visual acuity was 6/6 in the right eye and 6/60 in the left. She is at risk of developing all of the following except
1. Miosis
2. Cataract
3. Open angle Glaucoma
4. Optic atrophy

Correct answer: 1. Miosis

Explanation: Ans. (a) MiosisThe patient has Siderosis, left eye trauma with iron foreign body.Siderosis damages the ocular structures mainly through the toxic effects of iron on the epithelium. In siderosis, the following signs may be seen:* Mydriasis due to damage of the sphincter muscle - option a* Glaucoma from damaged trabecular meshwork - option c* Cataract from iron deposition - option b* Pigmentary changes in the retina with attenuation of the vessels and optic atrophy - option d.